A sub-centre caters the needs of ---- population -
1. 30000
2. 15000
3. 5000
4. 10000

Correct answer: 3. 5000

Explanation: The subcenter is the peripheral outpost of the existing health delivery system in rural areas.They are being established on the basis of one subcenter for every 5000 population in general and one for every 3000 population in hilly and tribal areas (refer pgno:902 park 23 rd edition)